Not true about the chi-square test is -
1. Tests the significance of the difference between two proportions
2. Tells about the presence or absence of an association between two variables
3. Directly measures the strength of association
4. Can be used when more than two groups are two be compared

Correct answer: 3. Directly measures the strength of association

Explanation: Ans- C 1 : Chi-square test of significance -can be used to find the significant difference between two or more proportions .. So can be used for two or more than two groups.. 2 : Chi-square test of association- can be used to find the significant association between two variables.. But It cannot measure the strength of association .. Strength of association is given by Odds ratio or Risk ratio